Haemorrhage during tonsillectomy is usually from:
1. Maxillary artery
2. Paratonsillar vein
3. Lingual artery
4. Middle meningeal artery

Correct answer: 2. Paratonsillar vein

Explanation: The most common site of haemorrhage following tonsillectomy is venous from external palatine vein i.e. the paratonsillar vein.